TB burden is highest in which country -
1. China
2. India
3. Pakistan
4. Bangladesh

Correct answer: 2. India

Explanation: India is the highest TB burden country in the world in terms of absolute number of incident cases that occur each year. Park's textbook of preventive and social medicine,K.Park,23rd edition,page no:177.